Which of the following cell type(s) secretes prostate specific antigen (PSA)?
1. Benign prostate epithelial cells only
2. Malignant prostate epithelial cells only
3. Benign and malignant prostate epithelial cells
4. Prostate stromal cells

Correct answer: 3. Benign and malignant prostate epithelial cells

Explanation: Prostate-specific antigen (PSA), a glycoprotein with a MW of 34,000, is a biological marker used in the detection of prostate cancer. It is secreted from prostatic epithelial cells and is responsible for aiding liquefaction of semen. This marker, which is evaluated with a blood test, can be produced by both benign and malignant epithelial cells. The prostate stromal cells do not produce PSA. Ref:Barrett K.E., Barman S.M., Boitano S., Brooks H.L. (2012). Chapter 23. Function of the Male Reproductive System. In K.E. Barrett, S.M. Barman, S. Boitano, H.L. Brooks (Eds), Ganong's Review of Medical Physiology, 24e.